In follow up of BPH, most important indication of surgery is
1. Prostate size >75gm
2. Single episode of UTI requiring 3 day antibiotics
3. Cannot use medication due to hypertension
4. Bilateral hydronephrosis

Correct answer: 4. Bilateral hydronephrosis

Explanation: Indications for surgery in BPH are: * Prostatism *Acute retention of urine *Chronic retention of urine with residual urine > 200ml*Complications like hydroureter, hydronephrosis, stone formation, recurrent infections, bladder changes.*HematuriaReference : page 1045 SRB's manual of surgery 5th edition